Which of the following can be given safely to a patient of congestive heart failure
1. Aspirin
2. Paracetamol
3. Diclofenac sodium
4. Ibuprofen

Correct answer: 2. Paracetamol